Atropine is contraindicated in
1. Narrow angle glaucoma
2. Open angle glaucoma
3. Congenital glaucoma
4. Steroid induced glaucoma

Correct answer: 1. Narrow angle glaucoma